Heywood and Heyman are associated with:
1. Night guard vital bleaching.
2. Walking bleach technique.
3. Thermocatalytic technique.
4. Microabrasion technique.

Correct answer: 1. Night guard vital bleaching.